Pepsin is activated by
1. HCI
2. Enterokinase
3. Uropepsinogen
4. Trypsinogen

Correct answer: 1. HCI

Explanation: The pepsin precursors are called pepsinogen and are activated by gastric acid.Pepsinogen 1 is found only in acid-secreting regions, whereas pepsinogen 2 is also found in the pyloric region.Pepsins have a pH optimum 1.6-3.2Pepsin hydrolizes the bonds between aromatic amino acids.(Ref: Ganong's Review of medical physiology, 23rd edition, page: 455)